Intermediate host for hydatid disease aEUR'
1. Man
2. Dog
3. Cat
4. Foxes

Correct answer: 1. Man

Explanation: Man Hydatid disease of the liver is caused by Echinococcus granulosus: Ecchinococcus granulosus:- Also known as dog tapeworm, hydatid worm Habitat Small intestine of dog and other canine animals Definitive host --> Dog, wolf, fox, jackal (canine animals) Intermediate host Sheep, pig, cattle, horse, goat, man (dead end) Infective form .- Egg Mode of infection Ingestion of eggs Also know Man is the definitive host in most of the parasitic infection except the following parasites where it is an intermediate host. Echinococcus granulosus (Hydatid worm) Plasmodium (Malaria) Taenia solium (Man is both definitive an intermediate host) Toxoplasma gondii Sarocysts lindemanii